Which of the following indicates Urinary Tract infection
1. > 1 lakh CFU/ml in mid - stream clean catch urine
2. > 50000 CFU/ml from urethral catheterization
3. Any number of bacteria from suprapubic aspiration
4. All of the above

Correct answer: 4. All of the above

Explanation: All of the above  indicates Urinary Tract infection.